Feature of addison's disease include all of the following except:
1. Asthenia
2. Hyperpigmentation
3. Hypertension
4. Abdominal pain

Correct answer: 3. Hypertension

Explanation: Answer is C (Hypertension): Addison's disease is associated with hypotension & not hypertension. 'Arterial hypotension with postural accentuation is frequent and blood pressure may be in the range of 80/50 mmHg or less' - Harrison 16th/2142 Addison's disease: Review Addison's disease or primary adrenocortical deficiency is characterized by primary inability of adrenals to elaborate sufficient quantities of adrenal cortical hormones